Radiotherapy is Rx of choice for:
1. Nasopharyngeal Carcinoma T3N1
2. Supraglottic Carcinoma T3NO
3. Glottic Carcinoma T3N1
4. Subglottic Carcinoma T3NO

Correct answer: 1. Nasopharyngeal Carcinoma T3N1

Explanation: A i.e. Nasopharyngeal Carcinoma T3N1 Radiotherapy is the standard treatment of nasopharyngeal carcinomaQ, as surgery is not fesibleQ. Patient with advanced disease also receive concurrent chemotherapy. Radical Radiotherapy is preferred treatment for early supraglottic carcinomas (i.e. small (< 6m1) tumor mass and absence of cartilage invasion). In unfavourable conditions voice preserving supraglottic laryngectomy (surgery) is preferred. Tumors involving the true vocal cords or cartilage are treated with supracricoid laryngectomy & for advanced tumors total laryngectomy is required. Cord fixation is an indirect evidence of cricoarytenoid joint involvement. It upstages the tumor to T3 and precludes voice preserving surgery in all laryngeal cancers. Radiotherapy is preferred modality for definitive treatment of early glottic carcinoma (T2 NO) as it allows voice preservation. Hemilaryngectomy is the usual surgical procedure in early glottic cancers and supracricoid laryngectomy is performed if there is imaging evidence of invasion of anterior or posterior commissure, contra lateral true vocal cord, false vocal cord or parglottic fat invasion.